Now–a–days, the selective serotonin reuptake inhibitors are the preferred drugs for which of the following psychiatric disorder apart from their role in the treatment of depression :
1. Phobias
2. Obsessive compulsive disorder
3. Post-traumatic stress disorder
4. All of the above

Correct answer: 4. All of the above